CA maxilla stage III(T3NoMo), treatment of choice is :
1. Radiotherapy
2. Surgery + Radiotherapy
3. Chemotherapy
4. Chemotherapy + Surgery

Correct answer: 2. Surgery + Radiotherapy

Explanation: Ans. is 'b' i.e. Surgery + Radiotherapy